The cause of sensation of tissue tearing during local anesthesia administration is due to:
1. Passage through a cyst
2. Passage through a muscle
3. Passage through an area of infection
4. Barb on the needle

Correct answer: 4. Barb on the needle